Allograft is defined as ?
1. Graft from oneself
2. Graft from identical twin
3. Graft from member of same species
4. Graft from other species

Correct answer: 3. Graft from member of same species

Explanation: Ans. is 'c' i.e., Graft from member of same species